The drug of choice for schistosomiasis is:
1. Albendazole
2. Metronidazole
3. Praziquantel
4. Triclabendazole

Correct answer: 3. Praziquantel

Explanation: This novel anthelmintic has wide ranging activity against Schistosomes, other trematodes, cestodes and their larval forms but not nematodes ESSENTIALS OF PHARMACOLOGY page no. 855